Which one of the following drug is effective in painful tingling sensation due to diabetic neuropathy:
1. Aspirin
2. Ibuprofen
3. Gabapentin
4. Tramadol

Correct answer: 3. Gabapentin